Hemodialysis is useful in all of the following except ?
1. Barbiturate poisoning
2. Methanol poisoning
3. Salicylate poisoning
4. Digoxin poisoning

Correct answer: 4. Digoxin poisoning

Explanation: Ans. is d i.e., Digoxin poisoning o Dialysis in not effective in amphetamines, verapamil, organophosphates, opioids, imipramine, digitalis, diazepam.